Medullary ca of thyroid is associated with increase in
1. Calcitonin
2. Thyroglobulin
3. T3
4. T4

Correct answer: 1. Calcitonin

Explanation: Ans. (a) Calcitonin(Ref: Robbins 9th/pg 1099-1100)*In Medullary Carcinoma Thyroid, serum Calcitonin is elevated.*Elevated serum calcitonin also provides a marker of residual or recurrent disease.*All patients with Medullary Carcinoma Thyroid*should also be tested for RET mutations, so that genetic counseling and testing of family members can be offered;